A child is presenting with watery stools, gram staining is showing comma shaped bacilli. The isolated organism will show which type of motility-
1. Tumbling
2. Darting
3. Gliding
4. Stately

Correct answer: 2. Darting

Explanation: Ans. is 'b' i.e., Darting * Water diarrhea by comma shaped bacilli is suggestive of V. cholerae infection.* V. cholerae shows darting motility.